BK virus infection - True statement is:
1. Causes nephropathy in transplant patients
2. Causes progressive multifocal leukoencephalopathy
3. 20 - 25% transplant cases associated with BK virus nephropathy
4. Single stranded DNA virus

Correct answer: 1. Causes nephropathy in transplant patients

Explanation: Ans: (a) Causes nephropathy in transplant patientsRef: Harrison, 19th editionBK VirusBK virus is a non-enveloped double-strand DNA virus which belongs to family polyoma viridae.Primary BKV infection occurs by the upper respiratory route until age 10 without any obvious symptoms.80% of the population is infected by BKV, and approximately 50% of healthy native kidneys contain latent BKV.After renal transplantation, 35-60% of patients have BKV viruria, 5-30% of patients have BKV viremia.The prevalence of BKV nephropathy is about 10% of renal transplant patients.Progressive multifocal leukoencephalopathy is caused by JC virus (belongs to polyoma viridae).